All of the following statements are true for metaphysis of bone except:
1. It is the strongest part of bone
2. It is the most vascular part of bone
3. Growth activity is maximized here
4. It is the region favouring hematogenous spread of infection

Correct answer: 1. It is the strongest part of bone

Explanation: A i.e. It is the strongest part of boneStrongest portion of bone is diaphysis (not metaphysis); Maximum growth occurs in physis (epiphyseal growth plate) followed by metaphysis Q